Magnan syndrome is seen in which poisoning -
1. Morphine
2. Alcohol
3. Cannabis
4. Cocaine

Correct answer: 4. Cocaine

Explanation: Altered tactile sensation: the person feel that some small insects are crawling on his skin. This is known as Magnan's symptom or cocaine bugs (formication). REF;THE SYNOPSIS OF FORENSIC MEDICINE:KS NARAYANA REDDY;28th EDITION;PAGE NO 347